Frigidity is-
1. Inability' to initiate sexual arousal in female
2. Inability' to initiate sexual arousal in male
3. Ejaculation occurring immediately after penetration
4. None

Correct answer: 1. Inability' to initiate sexual arousal in female

Explanation: Ans is 'a' i.e., Inability' to initiate sexual arousal in female o Frigidity is inability to initiate sexual arousal in female.o Premature ejaculation is ejaculation occurring immediately before or after penetration.